Pigmentation occurs in oral cavity and skin in all of the
following except:
1. Peutz-jeghers syndrome
2. Addison's syndrome
3. Cushing syndrome
4. Albright syndrome

Correct answer: 3. Cushing syndrome